Which of the following substances play a major role in regulating cell-cell and cell-matrix interaction in cementum?
1. Sharpey's fibers
2. Intrinsic fibers
3. Proteoglycans
4. Phosphoproteins

Correct answer: 3. Proteoglycans